Which of the following is not a test for the integrity of 9th nerve?
1. Gag reflex
2. Palate symmetry
3. Taste
4. Tongue protrusion

Correct answer: 4. Tongue protrusion

Explanation: Testingof 9th Nerve: Testing the gag reflex using a wooden spatula Asking the patient to swallow or cough Evaluating for speech impediments. Test the posterior one-third of the tongue with bitter and sour substances to evaluate for impairment of taste